Which of the following decreasing preload -
1. Hydralazine
2. Nifedipine
3. Nitroglycerine
4. Losartan

Correct answer: 3. Nitroglycerine

Explanation: Ans: C .Nitroglycerine (Ref: KDT 7/e p. 522)Preload:End-diastolic pressure when the ventricle is filled.Depends on venous return ) more the venous return, more is the preload.Drug which dilate veins will decrease the venous return and there by preload.Drugs which decrease the body fluid (diuretics) also decrease venous return and preload.Examples are - Nitrates